In a case of retrocecal appendicitis which movement aggravates pain:
1. Flexion
2. Extension
3. Medial rotation
4. Lateral rotation

Correct answer: 2. Extension

Explanation: In retrocecal appendicitis, inflamed appendix is in contact with psoas muscle causing flexion of the hip joint. Hyperextension of the hip joint may induce abdominal pain. This is known ‘illopsoas sign' and is typical of retrocecal appendicitis.
Other signs seen in appendicitis:
Obturator sign: pain on internal rotation of the hip (suggesting a pelvic appendix)
Dunphy's sign: Any movement, including coughing (Dunphy's sign), may cause increased pain
Rovsing's sign: pain in the right lower quadrant during palpation of the left lower quadrant